Face to pubis delivery is seen in which variety of pelvis ?
1. Gynecoid
2. Anthropoid
3. Android
4. Platypelloid

Correct answer: 2. Anthropoid

Explanation: Ans. is 'b' i.e., Anthropoid Anstomical Features of parent Pelvic GynecoldAnthropoidAndroidPlatypelloid o ShapeRoundAnteroposteriorly ovalTriangularTransversely ovalo Anterior and posterior segmentAlmost equal and spaciousBoth increased with slight anterior narrowingPosterior segment short and anterior segment narrowBoth reduced flatInleto SacrumSacral angle (SA) more than 90deg. Inclined backwards Well curved from above down and side to sideSA more than 90deg inclined posteriorly Long and narrow. Usual curveSacral angle less than 90degInclined forwards and straightSA more than 90deg Inclined posteriorly Short and straighto Sacrosclatic notchWide and shallowMore wide and shallowNarrow and deepSlightly narrow and smallCavityo SidewallsStraight or slightly divergentStraight or divergentConvergentDivergento Ischial spinesNot prominentNot prominentProminentNot prominentPubic archCurvedLong and curvedLong and straightShort and curvedOutleto Subpubic angleWide (85deg)Sightly narrowNarrowVery wide (more than 90deg)o Bituberous diameterNormalNormal of shortShortWideObstetric Outrome in parent pelvic types GynecoldAnthropoidAndroidPlatypelloid o PositionOccipitolaseral of oblique occipitoanteriorDirect occipitoanterior of posteriorOccipitolateral or oblique occipito- posteriorOccipitolateralInleto Diamter of engagementTransverse or obliqueAnteroposteriorTransverse or obliqueTransverseo EngagementNo difficulty Usual mechanismNo difficulty except flexion is delayedDelayed and difficultDifficult by exaggerated parietal presentationCavityo Internal rotationEasy anterior rotationNon-rotatoincommonDifficult anterior rotation. Not occuts early above the isthial spines, chence of arrestAnterior rotation usually occuts late in the perineumOutleto DeliveryNo difficultyMore incidence of face-to-publsDifficult delivery with increased chance of perineal injuriesNo difficulty